Which of the following drug does not contribute to Digoxin toxicity
1. Hyperkalemia
2. Hypercalcemia
3. Renal failure
4. Hypomagnesamia

Correct answer: 1. Hyperkalemia

Explanation: Refer kDT 7/e p 5116 Digoxin toxicity can induce literally every arrhythmia except for rapidly conducted atrial arrhythmias ( and ). The classic arrhythmias seen during digoxin toxicity include atrial tachycardia with a 2:1 conduction, bidirectional ventricular tachycardia and atrial fibrillation with a slow ventricular response.